If there are 4 nucleotides instead of 3 in codon, how many amino acids may be formed?
1. 16
2. 21
3. 256
4. 64

Correct answer: 3. 256

Explanation: C i.e. 256